A patient inventing new words, is a feature of
1. Neurosis
2. Schizophrenia
3. OCD
4. Von-Gogh syndrome

Correct answer: 2. Schizophrenia

Explanation: patient inventing new words which is not present in one's dictionary is called neologism neurosis is called for the group of disorders where there is a distress towards the symptoms and patient has insight towards one's own illnes. some of the neurosis disorders are anxiety disorder, phobia, adjustment disorders and others OCD is Obsessive compulsive disorder, it is assosiated with obsessions and compulsions obsessions are recurrent intrusive irrelevant distressing irresistable ego dystonic thoughts van gogh syndrome is self mutilation syndrome inpsychosis Ref.Kaplon and sadock, synopsis o psychiatry, 11 th edition, pg no.192